Massch test is done for detection of which poisoning?
1. Lead poisoning
2. Thallium poisoning
3. Cyanide poisoning
4. Arsenic poisoning

Correct answer: 4. Arsenic poisoning

Explanation: Marrch test and Reinsch test are tests for Arsenic poisoning.